Hirschsprung disease is confirmed by –
1. Rectal biopsy
2. Per/Rectal examination
3. Rectal manometry
4. X–ray abdomen

Correct answer: 1. Rectal biopsy

Explanation: Rectal suction biopsy is procedure of choice.